Which of the following is given to treat thrombocytopenia secondary to anti-cancer therapy and is known to stimulate progenitor megakaryocytes
1. Filgrastim
2. Oprelvekin
3. Erythropoietin
4. Anagrelide

Correct answer: 2. Oprelvekin

Explanation: Ans. is 'b' i.e., Oprelvekin